Which of the following is a function of the golgi apparatus-
1. Modification of proteins
2. mRNA synthesis
3. Protein storage
4. tRNA synthesis

Correct answer: 1. Modification of proteins

Explanation: * The Golgi apparatus functions in association with the endoplasmic reticulum. Small 'transport vehicles' continuously pinch off from the endoplasmic reticulum and then fuse with the Golgi apparatus. * Thus, substances entrapped in the transport vesicles are transported from the endoplasmic reticulum to the Golgi apparatus. * The transported substances are then processed in the Golgi apparatus to form lysosomes, secretory vesicles and other cytoplasmic components. * In short, the Golgi apparatus brings about modification of proteins.